Cyclo developmental stage is seen in:
1. Malaria
2. Filaria
3. Plague
4. Cholera

Correct answer: 2. Filaria

Explanation: Ans. is 'b' i.e. Filaria This question is one of the most often repeated question in PG examsThere are three types of biological transmission by vectors :Propagative:The infectious agent merely multiplies in the vector but no change in form.eg.plague bacilli in rat fleas.Cyclopropogative:The agent changes in form and number.eg. malaria parasite in mosquito.Cyclo-developmental:The disease agent undergoes only development but no multiplication.eg. microfilaria in mosquito.